Which of the following muscle group is innervated by obturator nerve?
1. Abductor muscle
2. Adductor compartment
3. Extensor compartment
4. Flexor compartment

Correct answer: 2. Adductor compartment

Explanation: The muscles in the medial compartment of the thigh are primarily adductors of the hip because of their medial orientation. The obturator nerve (L2-L4) innervates most of the muscles in the medial compartment of the thigh.Ref: Morton D.A., Foreman K.B., Albertine K.H. (2011). Chapter 36. Thigh. In D.A. Morton, K.B. Foreman, K.H. Albertine (Eds), The Big Picture: Gross Anatomy.